Vaginal wall is derived from ?
1. Endoderm
2. Mesoderm
3. Endoderm and mesoderm
4. Ectoderm and mesoderm

Correct answer: 3. Endoderm and mesoderm

Explanation: Ans. is 'c' i.e., Endoderm and mesoderm Vagina is derived from two sources :? Upper 2/3" : It is derived from Utero-Vaginal Canal, i.e. the fused part of paramesonephric duct. Therefore, this part is mesodermal in origin. Lower 1/3" : It is derived from sinovaginal bulb which inturn is derived from urogenital sinus. Thus, this part is endodermal in origin.